Chemical used in vaginal sponge is
1. Ethynil estradiol
2. Progesterone
3. Mifepristone
4. Nonoxynol-9

Correct answer: 4. Nonoxynol-9

Explanation: Vaginal sponge is a small polyurethane foam sponge saturated with spermicide, nonoxynol-9 It comes under barrier method of contraception Reference : Park's textbook of preventive and social medicine, 23rd edition, Page no: 495